The best chances of recovery after successful cardiopulmonary resuscitation are seen in:
1. Ventricular Tachycardia
2. Ventricular Fibrillation
3. Asystole
4. Electromechanical dissociation

Correct answer: 1. Ventricular Tachycardia

Explanation: Answer is A (Ventricular Tachycardia) The outcome after cardiac arrest is hest if the mechanism k ventricular tachycardia- Outcome after cardiac arrest in decreasing order of success Ventricular tachycardia (Best) Ventricular fibrillation (Second Best) Asystole Pulseless Electrical activity (Electromechanical dissociation)